Zuska syndrome common in smokers causes ?
1. Acute mastitis
2. Chronic areolar abscess
3. Fibroadenosis
4. Acute abscess formation

Correct answer: 2. Chronic areolar abscess

Explanation: Zuska-Atkins disease seen in smokers is characterised by squamous metaplasia of lactiferous ducts causing plugging and obstruction of the ducts; subsequent inflammatory reaction and infection leading to chronic subareolar abscess. Nipple retraction, recurrent episodes of infection and presence of painful nodules under the areola in a nonlactating woman are the features. Treatment is antibiotics and surgical excision. Reference : page 529 SRB's manual of surgery 5th edition